A patient with GUN SHOT injury to anterior abdomen presents . On evaluation he is hemodynamically unstable and shows signs of peritonitis. Initial management of patient should involve:
1. FAST
2. Exploratory laparotomy
3. Local wound exploration and suturing
4. CECT abdomen

Correct answer: 2. Exploratory laparotomy

Explanation: PENETRATING ABDOMINAL INJURIES: